All are components of GCS EXCEPT:
1. Eye opening
2. Respiration
3. Conversation
4. Motor response

Correct answer: 2. Respiration

Explanation: ANSWER: (B) RespirationREF: Harrison 18t ed table 267-1GLASGOW COMA SCALE 123456EyesDoes not open eyesOpens eyes in response to painful stimuliOpens eyes in response to voiceOpens eyes spontaneouslyN/AN/AVerbalMakes no soundsIncomprehensiblesoundsUttersinappropriatewordsConfused,disorientedOriented,conversesnormallyN/AMotorMakes no movementsExtension to painful stimuli (decerebrate response)Abnormal flexion to painful stimuli (decorticate response)Flexion/ Withdrawal to painful stimuliLocalizespainfulstimuliObeyscommandsThe scale comprises three tests: eye, verbal and motor responses. The three values separately as well as their sum are considered. The lowest possible GCS (the sum) is 3 (deep coma or death), while the highest is 15 (fully awake person).